Caspases are involved in -
1. Apoptosis
2. Pinocytosis
3. Cell signaling
4. Cell injury

Correct answer: 1. Apoptosis

Explanation: Ans. is 'a' i.e., Apoptosis o Caspases and endonuclease cause chromatin fragmentation in apoptosis,o They are inactive, so first they should be activated,o Cytochrome 'c' binds with Apaf-1 and this complex activates caspases.o Caspases cause fragmentation of chromatin and also activate endonuclease.About option 'b'o Though Apaf-1 helps in activation of caspases, it has no role in chromatin fragmentation and It does not have two seprate forms active or inactive. It just forms complex with cytochrome 'C' to activate caspases.Neet Points about Apoptosiso Mitochondrion is the critical organelle required for apoptosis.o Chromatin condensation is the most characteristic feature.o Cell shrinkage is seen.o Gel electrophoresis demonstrates 'step ladder pattern'.o Annexin V is the marker for apoptosis.o CD 95 is the molecular marker for apoptosis.